The earliest sign of tuberculosis of vocal cords is
1. Mouse nibbled appearance
2. Hyperemia of the free margin
3. Turban epiglotitis
4. Ulceration of vocal cord

Correct answer: 2. Hyperemia of the free margin

Explanation: The weakness of voice is the earliest symptom followed by hoarseness of voice. Ulceration of larynx produces severe pain, which may radiate to ears. Pain during swallowing is seen in later stages. On examination, hyperemia of the vocal cord in its whole extent or confined to posterior part with impairment of adduction is the first sign. Note the hyperaemia Ref : www.ncbi.nlm.gov